Which of the following methods is used for demonstrating old washed up blood-stains -
1. Infrared photography
2. Luminol spray
3. Ultraviolet light
4. Magnifying lens

Correct answer: 2. Luminol spray

Explanation: Luminol (3-aminophthalhydrazide) spray is most common blood reagent used for visualizing/demonstrating weak/ faint blood stains i.e old washed up or cleaned up stains and blood stains in areas difficult to see such as outdoor vegetations etc.